Kerley B lines' in the chest X-ray of a patient is a radiological feature of -
1. Respiratory failure
2. Heart failure
3. Renal failure
4. Liver failure

Correct answer: 2. Heart failure